In a patient with myocardial infarction the valvular lesion commonly seen in:-
1. Aortic stenosis
2. Mitral regurgitation
3. Aortic regurgitation
4. Septal defect

Correct answer: 2. Mitral regurgitation

Explanation: Answer is B (Mitral regurgitation) The most common valvular lesion seen in MI is mitral regurgitation. The reported incidence of these murmurs of MR during first few days of onset of MI varies widely from 10 to 50 percent of patients. Dysfunction of mitral valve apparatus with a transient midsystolic or late systolic apical systolic murmur (regurgitant murmur) may be present as part of the physical findings of MI -- Harrison 16th/7 The most common cause of MR following MI is dysfunction of mitral valve due to ischaemia or infarction.